Pilocarpine is a -
1. Muscarinic cholinergic drug
2. Nicotinic cholinergic drug
3. Alpha-adrenergic drug
4. Beta-adrenergic drug

Correct answer: 1. Muscarinic cholinergic drug

Explanation: Ans. is 'a' i.e., Muscarinic cholinergic drug Cholinomimetic drug|||With muscarinic actionWith Nicotinic Actiono Acetylcholineo Methacholineo Carbacholo Bethanecholo Pilocarpineo Muscarineo Arecholineo Acetylcholineo Carbacholo Arecholine